Most common cause of direct obstetric deaths:
1. Anaemia
2. Hemorrhage
3. Obstructed labour
4. Infection

Correct answer: 2. Hemorrhage

Explanation: Ans: B i.e. Hemorrhage Direct Obstetric deaths (75%) are those resulting from complication of pregnancy, delivery or their management. Causes of maternal mortality Anaemia is an indirect cause of death (15-20%) Haemorrhage is mostly due to post partum haemorrhage (20-25%) Obstructed labour is due to cephalopelvic disproportion (8%) Infection is associated with labour & puerperium (15-20%).